Regarding anterior choroidal artery syndrome, all are true except-
1. hemiparesis
2. hemi sensory loss
3. predominant involvement of anterior limb of internal capsule
4. homonymous hemianopia

Correct answer: 3. predominant involvement of anterior limb of internal capsule

Explanation: Anterior choroidal artery is a branch of internal carotid artery. It supplies posterior limb of internal capsule. Block leads to Anterior choroidal artery syndrome:- homonymous hemianopia sensory motor loss of contralateral upper limb, trunk and lower limb (face is spared as genu is supplied by direct branch of internal carotid artery) auditory problems Anterior limb of internal capsule supplied by- Recurrent branch of Heubner branch of anterior cerebral artery.